Factor-X deficiency is seen in:
1. Hemophilia-A
2. Hemophilia-B
3. Both
4. None of the above

Correct answer: 4. None of the above

Explanation: None of the above